Rovsing sign is seen in -
1. Acute appendicitis
2. Acute cholecystitis
3. Pancreatitis
4. None

Correct answer: 1. Acute appendicitis

Explanation: Ans. is 'a' i.e., Acute appendicitis